Alopecia areata is a/ an ?
1. Autoimmune disorder
2. Allergic disorder
3. Anaphylactic disorder
4. Bacterial infection

Correct answer: 1. Autoimmune disorder

Explanation: Ans. is 'a' i.e., Autoimmune disorder